Sperms acquirs motility in
1. Testis
2. Epididymus
3. Vas deferences
4. Seminal vesicles

Correct answer: 2. Epididymus

Explanation: (Epididymus) (424- Gcmong22nd) (421- K.S 4th)(404- Ganong 23rd)Maturation of sperm in the Epididvmus* Sperm removal from the seminiferous tubules and from the early portions of the epididymis are non motile and they cannot fertilize an ovum. However, after the sperm have been in the epididymus for some 18 to 24 hours , they develop the capability of motility* After ejaculation, the sperm become motile and they become capable of fertilizing of ovum, a process called maturation* Capacitance of sperm is attained in - Fallopian tube**